16 F foleys is used in
1. Acute urinary retention
2. CA penis
3. Pyonephrosis
4. None

Correct answer: 1. Acute urinary retention

Explanation: Answer- A. Acute urinary retentionl6F and l8F foleys are mainly used for adults8F and 10F are mainly used for childrencute urinary retention is an indication for catheterization